All of the following vessels supply blood to the tonsils EXCEPT -
1. Ascending pharyngeal artery
2. Tonsillar branch of facial artery
3. Superior labial artery
4. Dorsal lingual artery

Correct answer: 3. Superior labial artery